Stomach derives its blood supply from all the arteries directly or indirect except
1. Splenic artery
2. Hepatic artery
3. Superior mesenteric artery
4. Celiac axis

Correct answer: 3. Superior mesenteric artery

Explanation: Stomach is part of foregut gets supply from celiac artery Midgut gets supply from SMA . ref - BDC 6e vol2 pg277